Who among the following is chairman of central council for health?
1. Prime minister
2. Secretary of health
3. Union health minister
4. Director general of health sciences

Correct answer: 3. Union health minister

Explanation: The central council of health was set up by a presidential order on 9th August 1952 under Article 263 of the constitution of India for promoting coordinated and concerted action between the center and the states in the implementation of all the programmes and measures pertaining to the health of the nation. The union health minister is the chairman and state health ministers are the membersRef: Park; 23rd ed; Pg 879